A farmer from the sub-Himalayan region presents with multiple leg ulcers. The most likely causative agent is -
1. Trichophyton Rubrum
2. Cladosporium species
3. Sporothrix Schenckii
4. Aspergillus

Correct answer: 3. Sporothrix Schenckii